Metabolic derangements in severe burns are all except
1. Tcoico steroid secretion
2. Hyperglycaemia
3. Tsecretion of HC1
4. Neutrophil dysfunction

Correct answer: 3. Tsecretion of HC1

Explanation: Answer is 'c' i.e. T secretion of HC1 Increased HCI secretion is not seen in burn injury. - Stress ulcers (Curling's ulcer) seen in burns are thought to be due to decrease in mucosal defence mechanism (not increase in acid secretion) Effect of burn on Immune system - Burns cause a global depression in immune function. There is depressed cellular function in all parts of the immune system, including activation and activity of neutrophils macrophages, T lymphocytes, and B lymphocytes. Thus the burned patients are at great risk for a number of infections complication. Effect of burn injury on metabolism Burn injury leads to release of catabolic hormones like catecholamines, coicosteriods, glucagons etc. These lead to a hypermetabolic state.